Articular surface of condyle is angulated at________ degrees to the plane of occlusion:
1. 15 degrees
2. 20 degrees
3. 25 degrees
4. 30 degrees.

Correct answer: 3. 25 degrees